What is the reason for choking shot gun?
1. Imparts spinning motion to pellet
2. Decreases the velocity of pellet
3. Reduces pellets dispersion
4. All of the above

Correct answer: 3. Reduces pellets dispersion